Privation of any member of joint is a .... hurt:
1. Simple
2. Grevious
3. Serious
4. Dangerous

Correct answer: 2. Grevious

Explanation: B i.e. Grevious